"Citron bodies" and boat or leaf-shaped pleomorphic organism in an exudate is
1. Clostridium welchii
2. Clostridium edematiens
3. Clostridium septicum
4. Clostridium tetani

Correct answer: 3. Clostridium septicum

Explanation: Clostridium septicum: citron bodies, boat or leaf-shaped polymorphic bacilli. Motile by peritrichous flagella. Saccharolytic and produce abundant gas. Produce alpha, beta, delta and gamma toxin. Gas gangrene, Braxy or malignant edema is caused. Reference: Textbook of Microbiology; Anathanarayan and paniker's; 10th edition; Page no: 260